Most common presentation of lobular carcinoma is ?
1. Nipple discharge
2. Breast mass
3. Mammographic calcification
4. Nipple retraction

Correct answer: 2. Breast mass

Explanation: .Lobular carcinoma in situ * Predominantly premenopausal. * Need not be detected by mammography, as it does not provoke calcification. * It is an incidental pathological entity. * Multifocal and bilateral. * Clinically, it do not form a lump. * Does predispose to invasive cancer.* Breast carcinoma arising from lactiferous ducts is called as ductal carcinoma. * Breast carcinoma arising from lobules is called as lobular carcinoma. It is 10% common.most common presentation is a lump. ref:SRB's manual of surgery,ed 3,pg no 468